IgA lymphoma invloves
1. Large intestine
2. Lymph nodes
3. Small intestine
4. Spleen

Correct answer: 3. Small intestine